A woman with 18wks gestation presentedto the OPD On abdominal examination the uterine size was 16 wks On USG oligohydroumnios was found which of the following is suspected
1. Renal agenesis
2. Fetal anemia
3. Jaundice
4. Anencephaly

Correct answer: 1. Renal agenesis

Explanation: REF : DUTTA BOOK 9TH ED